Which of the following is used to measure the mineral bone density of mandible?
1. Micro radiography
2. Auto radiography
3. Finite element modelling
4. Nuclear volume morphometry

Correct answer: 1. Micro radiography

Explanation: Micro radiography is used to measure the mineral bone density of mandible.